Which one of the following virus produces both intranuclear and intracytoplasmic inclusion bodies?
1. Chicken pox
2. Rabies
3. Small pox
4. Measles

Correct answer: 4. Measles

Explanation: Ans. is 'd' i.e., MeaslesIt produced multinucleated giant cell lines (Warthin - Finkeldy cells) containing both intracellular and intracytoplasmic inclusion bodies.